Enchondral ossification is/are seen in:
1. Long bones
2. Flat bones of skull
3. Clavicle
4. Mandible

Correct answer: 1. Long bones

Explanation: A i.e. Long bones Endochondral ossification is seen in long bones, vertebrae, pelvis, and bones of base of skullQ; whereas intramembranous ossification occurs in skull vault, flat bones of skull, maxilla, majority of mandible and clavicleQ